Chronic carrier is seen in
1. Measles
2. Whooping cough
3. Typhoid
4. Influenza

Correct answer: 3. Typhoid

Explanation: A chronic carrier is one who shed infectious agent for indefinite periods Seen in Typhoid, Hepatitis B, Dysentery, Cerebrospinal meningitis, Malaria, Gonorrhoea Reference; Park's Textbook of Preventive and Social medicine; 24th edition; Page no. 101